While doing thoracocentesis, it is advisable to introduce needle along
1. Upper border of the rib
2. Lower border of the rib
3. In the center of the intercostal space
4. In anterior part of intercostal space

Correct answer: 1. Upper border of the rib

Explanation: Thoracocentesis is removal of fluid from space between lung and chest wall.needle is inserted in left 4-5intercostal spaces.needle should be passed upward and posteriorly from xiphocostal angle to reach pericardial cavity. BD CHAURASIA'S HUMAN ANATOMY VOLUME 1. 6TH EDITION. Page no 300